A 30-year-old male patient presented with dyspnea ECHO showed mitral stenosis with left atrial hypertrophy. Excised mitral valve is as shown. What is the diagnosis?
1. Tuberculosis
2. Sarcoidosis
3. Rheumatic heart diseases
4. Fungal granuloma

Correct answer: 3. Rheumatic heart diseases

Explanation: ANS. CVegetations in various conditionsAnother important question in cardiology is gross and microscopic changes in myocardial infarction (May AIIMS 2016)Morphologic changes of myocardial infarctionTime after onsetGross examinationLight microscopy4-12No obvious changeCoagulation necrosis; edema; hemorrhage<24Dark mottlingCoagulation necrosis (eosinophilia)Pyknosis of nuclei and vacuolar degeneration "Wavy fibers"1-3 daysMottling with yellow- tan infarct centerCoagulation necrosisLoss of nuclei and striationsNeutrophilic infiltration3-7 daysCentral yellow- tan softening with hyperemic borderMyofibers desolutionNeutrophilic decreasePhagocytosis of dead cells by macrophages at infarct border7-10 daysDepressed red-tan marginsGranulation tissue formation10-14 daysNoticible infarct bordersWell-established granulation tissue with collagen deposition2-8 weeksInward progression of scarIncreased collagen deposition with decreased cellularity>2 monthsScarring completeDense collagenous scarMicroscopic features of myocardial infarction